A woman undergoes radical hysterectomy for Stage Ib Cervical cancer. On hisptopathological examination, it is found that cancer extends to lower body of uterus. What is the next management?
1. Chemotherapy
2. Radiotherapy
3. Repeat surgery for further disease reduction
4. Observation & follow up

Correct answer: 4. Observation & follow up

Explanation: In Ca Endometrium, the involvement of the cervix is stage II, But in Ca cervix, involvement of the uterus does not change the staging. It's considered natural progression of the cancer. Here since a radical surgery has already been done, the patient only requires observation and follow up